An alcoholic male presents to the clinic with severe epigastric pain radiating to the back which is relieved by bending forwards. The pain is accompanied by nausea and vomiting. On examination a bluish grey discoloration of flank is seen. What is this sign referred to as?
1. Grey Turner Sign
2. Cullen's Sign
3. Ballance's Sign
4. Alvarado's Sign

Correct answer: 1. Grey Turner Sign

Explanation: Grey Turner's Sign refers to bluish discolouration of the flanks. It is seen in patients with necrotizing pancreatitis in which blood dissect through the soft tissues and manifest as bluish discoloration. Another sign of necrotising pancreatitis is Cullen's sign in which there is bluish discoloration around the umbilicus. Ballance's sign: It refers to presence of fixed dullness on the left flank with shifting dullness in the right flank It is seen in rupture of spleen. Ref: Schwartz's Principles of Surgery, 9e, chapter 33